A four-fold increase in the titre obtained in Weil- Felix reaction is diagnostic of -
1. Rickettsial infection
2. Fungal infection
3. Spirochetal infection
4. Viral infection

Correct answer: 1. Rickettsial infection

Explanation: In weil-felix test, host antibodies to various rickettsial species cause agglutination of Proteus bacteria because they cross-react with bacterial cell surface antigens. Reference: Harrison20th edition pg 1011